Which does not pass through the aortic opening?
1. Aorta
2. Vagus nerve
3. Azygous nerve
4. Thoracic duct

Correct answer: 2. Vagus nerve

Explanation: The vagus nerve pases through the esophageal opening. Opening Vertebral level Part of diaphragm Structures Transmitted Vena caval Aperture T8 Central tendon Inferior vena cava Right Phrenic nerve Oesophageal Aperture T10 Muscular portion derived from right crus Esophagus Esophageal branch of left gastric artery Left vagus nerve Right vagus nerve Aortic Aperture T12 Osseo-aponeurotic between right & lateral crus Aorta Thoracic duct Azygous vein Ref: Gray's Anatomy 41st edition Pgno: 899